Which of the following Vitamin is an antioxidant?
1. Vitamin D
2. Vitamin E
3. Vitamin K
4. Vitamin B1

Correct answer: 2. Vitamin E

Explanation: VitE is an anti-oxidant. The E vitamins consist of eight naturally occurring tocopherols, of which a-tocopherolis the most active (Figure 28.28). The primary function of vitamin E is as an antioxidant in prevention of the nonenzymic oxidation of cell components, for example, polyunsaturated fatty acids, by molecular oxygen and free radicals. Reference: Lippincott Textbook of Biochemistry pg no. 391